The mechanism by which water is reabsorbed from proximal convoluted tubule is
1. Active transport
2. Passive transport
3. Facilitated diffusion
4. Osmosis

Correct answer: 4. Osmosis

Explanation: Maximum of filtered water (60-70%) is reabsorbed in the proximal tubule, with or without Vasopressin. This is independent of the fluid and electrolyte status of the body and is caused by the osmotic gradient created by Na+ reabsorption.